True regarding Na+ ion -
1. Responsible for Donnan effect
2. Responsible for Resting membrane potential
3. Responsible for Depolarization
4. Does not help other ions in transport

Correct answer: 3. Responsible for Depolarization

Explanation: Depolarization occurs due to sodium ions influx.
Potassium ions maintain the resting membrane potential.
Sodium ions are not responsible for Gibbs-Donnan effect. It is due to the non-diffusible anions.
Sodium ions take part in many co-transports.